Root value of long thoracic nerve
1. C-3, 4, 5
2. C-5, 6, 7
3. C-7, 8 T-1
4. C-2, 3, 4

Correct answer: 2. C-5, 6, 7

Explanation: Ans. b. C-5, 6, 7Long thoracic nerve is branch of trunk forming brachial plexus with root value of C-5, 6, 7.Dorsal scapular nerveSuprascapular nerveNerve to subclaviusLateral pectoral nerveMusculocutaneous nerveAxillary nerveMeduan nerveUlnar nerveMedial cutaneous nerve of the forearmMedial cutaneous nerve of the armRadial nerveLower subscapular nerveThoraco dorsal nerveMedial pectoral nerveUpper subscapular nerveLong thoracic nerveBranches of the plexus for the upper limbBranches of the RootsNerve to serratus anterior (Long thoracic nerve C5.6,7)Q Nerve to rhomboideus (Dorsal Scapular nerve COdeg